Uveitis is associated most commonly with –
1. Rheumatoid arthritis
2. Systemic JRA
3. Pauciarticular JRA
4. Polyarticular JRA

Correct answer: 3. Pauciarticular JRA

Explanation: Uveitis can be seen in both pauciarticular and polyarticular JRA but is much more commonly associated with pauciarticular JRA.
It is seen in about 20-25% of cases of pauciarticular and only 5% of polyarticular JRA.